Meena 45 years old female presents with post coital bleeding. On per speculum examination a friable mass is found in cervix. Next step in management is:
1. Colposcopy directed biopsy
2. 6 monthly pap smear
3. Only observation
4. Punch biopsy

Correct answer: 4. Punch biopsy

Explanation: Ans. is d i.e. Punch Biopsy A 45 year female is presenting with post coital bleeding (i.e. suspicion of Ca cervix). On per speculum examination a friable mass is seen on cervix which has to be confirmed by Biopsy. If mass is seen - Punch biopsy is IOC. If no mass is seen - Colposcopy directed biopsy is IOC.